Which of the following is the most common cause of congenital hydrocephalus?
1. Craniosynostosis
2. Intra uterine meningitis
3. Aqueductal stenosis
4. Vein of Galen malformation

Correct answer: 3. Aqueductal stenosis